Enzyme that play a key role in apoptosis is:
1. Ribonuclease.
2. DNAase.
3. Caspase.
4. Endonuclease.

Correct answer: 3. Caspase.